Muscle flap with segmental pedicle is?
1. Gastrocnemius
2. Serratus anterior
3. Gluteus maximus
4. Sartorius

Correct answer: 4. Sartorius

Explanation: .Groin flap: It is based on superficial circumflex iliac artery which is 2-3 cm below and parallel to the inguinal ligament. Artery originates from femoral artery over medial border of the sartorius and ends at anterior superior iliac spine. 1:1 rectangular flap with deep fascia is used. Secondary defect can usually be closed with sutures. It is used mainly for defects in wrist/forearm where positioning is easier. ref:SRB;s manual of surgery,ed 3,pg no 287